Perioral pallor and Dennie-Morgan folds are seen in:
1. Atopic dermatitis
2. Chronic actinic dermatitis
3. Blood dyscrasia
4. Perioral contact dermatitis

Correct answer: 1. Atopic dermatitis

Explanation: Ans. a. Atopic dermatitisPerioralpallor(headlightsign)Follicularplugging(Autennaesign)Thinningoflateraleyelsrous.(Hertoghesign) [?][?][?][?][?] Seeinatopicdermatitis- "ITCH- SCRATCH-ITCH" cycle is seen. Skin is dry or xerotic